In malignant otitis externa which nerve commonly affected ?
1. Abducent
2. Facial
3. Auditory
4. Vagus

Correct answer: 2. Facial

Explanation: Most commonly facial nerve is involved. Other cranial nerves can also be involved (glossopharyngeal, vagus, spinal accessory, hypoglossal, abducens, trigeminal).